Tarsometatarsal amputation is also known as
1. Chopart's amputation
2. Lisfranc amputation
3. Pirogoff amputation
4. Symes amputation

Correct answer: 2. Lisfranc amputation

Explanation: B i.e. Lisfranc amputation Tarsometatarsal joint is known as Lisfranc joint and amputation through this joint is k/a Lisfranc amputationQ.